Drug used for treatment of malignant hyperthermia is?
1. Succinylcholine
2. Dantrolene
3. Diazepam
4. Valproate

Correct answer: 2. Dantrolene

Explanation: Ans. (b) DantroleneRef Lippinott 5/e, p 344, Goodman and Gillman, p 152, 11/e